Most common cause of hyperparathyroidism:
1. latrogenic
2. Medullary carcinoma thyroid
3. Parathyroid adenoma
4. Parathyroid hyperplasia

Correct answer: 3. Parathyroid adenoma

Explanation: Answer is C (Parathyroid Adenoma): The most common cause of primary hyperparathyroidism is a single /solitary parathyroid adenoma.